Corticosteroids are absolutely contraindicated in the following type of tuberculosis:
1. Miliary
2. Meningeal
3. Intestinal
4. Renal

Correct answer: 3. Intestinal

Explanation: Corticosteroids are contraindicated in intestinal tuberculosis because silent perforation can occur. However, they may be used under adequate chemotherapeutic cover: In seriously ill patients (miliary TB or severe pulmonary TB) to buy time for drugs to act. When hypersensitivity reactions occur to antitubercular drugs. ln meningeal/renal/pericardial TB or pleural effusion-to reduce exudation, prevent its organisation and strictures, etc. In AIDS patients with severe manifestations of tuberculosis. Corticosteroids, if given, should be gradually withdrawn when the general condition of the patient improves.